The compound that can give rise to glucose by gluconeogenesis is:
1. Acetyl CoA
2. Lactate
3. Palmitic acid
4. Fructose

Correct answer: 2. Lactate